Fourth heart sound is caused by:
1. Closure of the aortic and pulmonary valves
2. Vibrations in the ventricular wall during systole
3. Ventricular filling
4. Closure of the mitral and tricuspid valves

Correct answer: 3. Ventricular filling

Explanation: Ans. C i.e. Ventricular fillingFourth heart soundThe S4 sound occurs, by definition, immediately before S1, while the atria of the heart are vigorously contracting.It is manifest as a vibration of 20 to 30 Hz within the ventricle.While the mechanism is not absolutely certain, it is generally accepted that S4 is caused by stiffening of the walls of the ventricles (usually the left), which produces abnormally turbulent flow as the atria contract to force blood into the ventricle.